Regarding the anatomical snuffbox which of the following is true
1. Abductor Pollicis longus forms the posterior wall
2. Abductor pollicis longus and Extensor Pollicis brevis form the lateral wall
3. Basilic vein forms the roof
4. Floor is formed by Extensor carpi radialis longus and brevis

Correct answer: 2. Abductor pollicis longus and Extensor Pollicis brevis form the lateral wall

Explanation: The anatomical snuffbox, or radial fossa, is a triangular deepening on the radial, dorsal aspect of the hand - at the level of the carpal bones, specifically, the scaphoid and trapezium bones forming the floor. The Boundaries The snuffbox is bordered by a pair of parallel and intimate tendons, of the extensor pollicis brevis and the abductor pollicis longus anteriorly by the tendon of the extensor pollicis longus posteriorly. Accordingly, the anatomical snuffbox is most visible, having a more pronounced concavity, during thumb extension. Neurovascular anatomy The radial artery is present in the box (as a content), which passes through the anatomical snuffbox on its course to form the deep palmar arch. The cephalic vein & the dorsal cutaneous branch of the radial nerve is present in the roof Pathology The anterior boundary of ASB (extensor pollicis brevis and the abductor pollicis longus) is involved in de Quervain's tenosynovitis. Scaphoid fracture: The radius and scaphoid articulate deep to the snuffbox to form the basis of the wrist joint. In the event of a fall onto an outstretched hand, this is the area through which the brunt of the force will focus. This results in these two bones being the most often fractured of the wrist. In a case where there is localized tenderness within the snuffbox, knowledge of wrist anatomy leads to the speedy conclusion that the fracture is likely to be of the scaphoid. Interestingly, the scaphoid fracture is one of the most frequent causes of medico-legal issues